Rhinoscleroma occurs due to ?
1. Autoimmune cause
2. Inflammatory cause
3. Klebsiella rhinoscleromatis infection
4. Mycotic infection

Correct answer: 3. Klebsiella rhinoscleromatis infection

Explanation: Ans. is 'c' i.e., Klebsiellarhinoscleromatis infection Rhinoscleroma The causative organism is Klebsiellarhinosclerontatisor Frisch bacillus, which can be cultured from the biopsy material. The disease is endemic in several parts of world. In India, it is seen more often in northern than in the southern parts. Biopsy shows infiltration of submucosa with plasma cells, lymphocytes, eosinophils, Mikulicz cells & Russell bodies. The latter two are diagnostic features of the disease. The disease starts in the nose & extends to nasopharynx, oropharynx, larynx, trachea & bronchi. Mode of infection is unknown. Both sexes of any age may be affected.